Drug used for obesity:
1. Orlistat
2. Rivatat
3. Nitous oxide
4. Phenyiepherine

Correct answer: 1. Orlistat

Explanation: Ans.: A (Orlistat) [Ref: Harrison 17th/427, KDT 6th /130-31} Anti Obesity Drugs or AnorecticSibutramine<4 serotonin and nor-epinephrine reuptake inhibitor.OrlisttX: gastic and pancreatic lipase inhibitor.Rimonabantfr. selective cannabinoid receptors antagonist.Leptin analogs: Under investigational study.Olestra9 a sucrose polyester which can be used as a cooking medium in place of fat.Other Facts Harrison 17th / 427Sibutramine,;i is the only anorexiant that is currently approved by the Food and Drug Administration (FDA) for long-term use It produces an average loss of about 5-9% of initial body weight at 12 months. Sibutramine has been demonstrated to maintain weight loss for up to 2 years. The most commonly reported adverse events of sibutramine are headache, dry mouth, insomnia, and constipationCognitive behavioral therapy is used to help change and reinforce new dietary1 and physical activity' behaviorsBariatric surgery can be considered for patients with severe obesity (BMt >40 kg/m2) or those with moderate obesity (BMI >35 kg/m2) associated with a serious medical conditionNo reference found regarding the drug Rivastat on internet